A Person suffers from HLA B 27 associated reactive arthritis, urethritis and conjunctivitis. Which is most likely organism involved in this case ?
1. Borrelia burgdorferi
2. Ureaplasma urealyticum
3. Betahemolytic streptococci
4. Streptococcus bovis

Correct answer: 2. Ureaplasma urealyticum

Explanation: Ureaplasma urealyticum